Mucosal invasion of intestine causes which type of diarrhea ?
1. Watery diarrhea
2. Rice stool
3. Dysentery
4. None

Correct answer: 3. Dysentery

Explanation: Ans. is 'c' i.e., Dysentery